The normal portal venous pressure under normal physiological conditions is:
1. 4-6 mmHg
2. 5-10 mmHg
3. 26-30 mm Hg
4. 12-16 mm saline

Correct answer: 2. 5-10 mmHg

Explanation: The portal venous system contributes approximately 75% of the blood and 72% of the oxygen supplied to the liver. In the average adult 1000 to 1500 mL/min of portal venous blood is supplied to the liver. The normal portal venous pressure is 5 to 10 mmHg, and at this pressure very little blood is shunted from the portal venous system into the systemic circulation. As portal venous pressure increases, however, the communications with the systemic circulation dilate, and a large amount of blood may be shunted around the liver and into the systemic circulation. Ref: Tsung A. (2010). Chapter 31. Liver. In T.R. Billiar, D.L. Dunn (Eds),Schwartz's Principles of Surgery, 9e.